If you wanted to increase the penetrating quality of the x-ray beam, what machine setting(s) would you change?
1. Increase exposure time, mA, and kVp
2. Increase the mA and the kVp
3. Increase the mA
4. Increase the kVp

Correct answer: 4. Increase the kVp